Which among the following is not seen in Sturge Weber syndrome?
1. Intellectual disability
2. Seizure
3. Rail road track appearance
4. None

Correct answer: 4. None

Explanation: The Sturge-Weber syndrome (SWS), also called encephalotrigeminal angiomatosis, is a neurocutaneous disorder with angiomas involving the leptomeninges (leptomeningeal angiomas ) and skin of the face, typically in the ophthalmic (V1) and maxillary (V2) distributions of the trigeminal nerve. The cutaneous angioma is called a port-wine stain (PWS). The neurologic manifestations include seizures, focal deficits, such as hemiparesis and hemianopsia, called "stroke like episodes"; headaches; and developmental disorders, including developmental delay, learning disorders, and intellectual disability. The skull radiograph may show the classical "tram-line," or "tram-track" or "trolley-track," calcifications considered pathognomonic for SWS.